Middle cerebellar peduncle contains mainly which tract ?
1. Spinocerebellar
2. Olivocerebellar
3. Cuneocerebellar
4. Pontocerebellar

Correct answer: 4. Pontocerebellar

Explanation: Ans. is 'd' i.e., Pontocerebellar